The following tracts enter the cerebellum through Inferior Cerebellar Penducle except
1. Posterior spino-cerebellar tract
2. Striae medullares
3. Anterior external arculate fibres
4. Anterior spino-cerebellar tract

Correct answer: 4. Anterior spino-cerebellar tract

Explanation: Anterior spinocerebellar tract enters through superior cerebellar peduncle. The other afferent fibres entering are: Posterior spinocerebellar tract Olivocerebellar tract Parolivocerebellar tract Cuneocerebellar tract Anterior external arcuate fibres Vestibulocerebellar tract Reticulocerebellar tract (Ref: clinical neuroanatomy by Vishram Singh, pg no: 117)